A 2 year old unimmunized child present to a primary health center with fever since 5 days. Mother also give a history of rash starting behind ear- pinna a day before coming to OPD. On examination, child is having running nose and congested eyes. Most probable diagnosis is:-
1. Measles
2. Mumps
3. Rubella
4. Chicken pox

Correct answer: 1. Measles

Explanation: MEASLES:- Incubation period: 10 - 14 days Causative agents: RNA paramyxovirus Sources of infection: cases (carriers are not known to occur) Period of communicability :4 days before & 5 days after the appearance of rash (Rash: Retro - auricular origin) Measles has no second attacks (life long immunity seen) Pathognomic clinical feature of measles: Koplik spots (on buccal mucosa opposite lower 2nd molar) Other clinical features: Coryza, fever, Red eye, Cough MC complication of measles in young children: Otitis media.